'Brush burns' are synonymous with
1. Graze abrasion
2. Scalds
3. Electrical injury
4. Injury by a brush

Correct answer: 1. Graze abrasion

Explanation: Ans. a (Graze abrasion) (Ref. Reddy FMT 23rd ed. 145)ABRASIONS (GRAZES, SCRATCHES, BRUSH BURNS)# Loss/crushing of outer skin layer due to impact with a rough surface- Tangential impact produces a moving abrasion:* Indicates direction.* Trace material (e.g., grit).- Direct impact produces an imprint abrasion:* Pattern of causative object.# All abrasions reflect site of impact (contact bruises).# Assessment of age difficult.# Postmortem abrasion - Brown, leathery.